magnocellularr and parvocellular neurons project to ?
1. layer 2 of visual cortex
2. layer 4 and 4c of visual cortex
3. layer 6 and 1 of visual cortex
4. layer 2 and 3 of visual coretx

Correct answer: 2. layer 4 and 4c of visual cortex

Explanation: ref : guyton and hall